Which is not a major criteria for the diagnosis of rheumatic fever?
1. Carditis
2. Subcutaneous nodules
3. Increased ASLO
4. Arthritis

Correct answer: 3. Increased ASLO

Explanation: The Jones criteria for rheumatic fever: